"Bull's Eye" lesion in retina is seen in toxicity with any of the following drugs -
1. Ethambutol
2. Digitalis
3. Chloroquine
4. Rifampicin

Correct answer: 3. Chloroquine

Explanation: Ans. is 'c' i.e., Chloroquine o Chloroquine can cause colour vision defects and maculopathy known as Bull's eye maculopathy.